Which antineoplastic agent is an antifolate drug ?
1. Methotrexate
2. Adriamycin
3. Vincristine
4. Cyclophosphamide

Correct answer: 1. Methotrexate

Explanation: Ans. is 'a' i.e., Methotrexate